Not a teratogen is:
1. Alcohol
2. Warfarin
3. Metocloperamide
4. Phenytoin

Correct answer: 3. Metocloperamide

Explanation: Metocloperamide